All of the following radioisotopes are used as systemic radionucleide, except:
1. Phosphorus -- 32
2. Strontium -- 89
3. Iridium -- 192
4. Samarium -- 153

Correct answer: 3. Iridium -- 192

Explanation: Ans. Iridium -- 192